Light converts retinene to:
1. 11 cis
2. 11 trans
3. 13 cis
4. 13 trans

Correct answer: 2. 11 trans

Explanation: In the dark, the retinene1 in rhodopsin is in the 11-cis configuration. The only action of light is to change the shape of the retinene, converting it to the all-trans isomer. Ref: Ganong's Review of Medical Physiology 23rd edition, Chapter 12.